All are true about Right ventricular infarct EXCEPT:
1. Nocturia
2. Normal JVP
3. Hepatomegaly
4. Ascites

Correct answer: 2. Normal JVP

Explanation: ANSWER: (B) Normal JVPREF: Robbins 7th ed p. 563Right sided MI will lead to right ventricular dysfunction with features of right ventricular failureBackward failure of the right ventricle leads to congestion of systemic capillaries. This generates excess fluid accumulation in the body.This causes swelling under the skin (termed peripheral edema or anasarca) and usually affects the dependent parts of the body first (causing foot and ankle swelling in people who are standing up, and sacral edema in people who are predominantly lying down).Nocturia (frequent nighttime urination) may occur when fluid from the legs is returned to the bloodstream while lying down at night.In progressively severe cases, ascites (fluid accumulation in the abdominal cavity causing swelling) hepatomegaly (enlargement of the liver) may develop.Significant liver congestion may result in impaired liver function, and jaundice and even coagulopathy (problems of decreased blood clotting) may occur.Pleural effusion, Raised JVP, positive hepatojuglar reflex, parasternal heave.